Which of the following conditions could be produced by fracture of the floor of the middle cranial cavity, causing severance of the greater petrosal nerve?
1. Increased lacrimal gland secretion
2. Loss of taste sensation in the epiglottis
3. Dryness in the nose and palate
4. Decreased parotid gland secretion

Correct answer: 3. Dryness in the nose and palate

Explanation: The Greater Petrosal nerve present in floor of the middle cranial cavity, carries parasympathetic (preganglionic) fibers They are secretomotor to the lacrimal glands and mucous glands in the nasal cavity and palate Carry taste fibers from the palate; and GVA fibers from the nasal cavity, palate, and roof of the oral cavity but not from the pharynx and larynx. A lesion of the Greater Petrosal nerve causes dryness in the nose and palate and decreased lacrimal secretion.